a 40 yr old man underwent renal transplantation two months after transplantation he developed fever and features suggestive of bilateral diffuse interstitial pnuemonitis. what is causative agent ?
1. HSV
2. CMV
3. EBV
4. VZV

Correct answer: 2. CMV

Explanation: PERSONS WITH HIGH RISK OF CMV INFECTION : organ transplantation with malignant tumors who are recieving chemotherapy with hiv/aids viral excreation is icreased and prolonged diffuse interstitial pneumonia is common complication ref : ananthanaryana 9th ed